Trismus is due to infection by
1. Staphylococci
2. Streptococci
3. Diphtheria
4. Clostridium Tetani

Correct answer: 4. Clostridium Tetani